Over 60% of the world's Multi Drug Resistant TB cases are seen in which of the following countries?
1. India, Brazil, Afghanisthan
2. India, China, Russian Federation
3. Africa, China, Brazil
4. India, Africa, Afghanistan

Correct answer: 2. India, China, Russian Federation

Explanation: Overall 60% of all MDR-TB cases are in India, China, and the Russian Federation. Reference: Harrisons Principles of Internal Medicine, 18th Edition, Page 1341